First priority in management of burn injury is
1. Exposure
2. Fluid resuscitation
3. Circulation
4. Airway control

Correct answer: 4. Airway control